Anti-inflammatory action of corticosteroids is due to blocking of-
1. 15 Lipo oxygenase
2. Prostaglandin synthases
3. Thromboxane synthases
4. Breakdown of phospholipids

Correct answer: 4. Breakdown of phospholipids

Explanation: Ans. is 'd' i.e., Breakdown of phospholipids o The most important mechanism of corticosteroids as antiinflammatory agents is the limitation of recruitment (chemotaxis) of inflammatory cells at the local side and production ofproinflammatory mediators like PGs, LTs, PAF through inhibition ofphospholipase At o Phospolipase A, acts on membrane phospholipids and causes their breakdwon to form arachidonic acid. This is inhibited by corticosteroids.